Most common site of berry's aneury sm is-
1. Vertebral artery
2. Basilar artery
3. Junction of anterior cerebral artery and anterior communicating artery
4. Posterior cerebral artery

Correct answer: 3. Junction of anterior cerebral artery and anterior communicating artery

Explanation: Ans. is 'c' i.e., Junction of anterior cerebral artery and anterior communicating arteryBerry aneurysmo The further away the aneurysm from the anterior circulation or from the circle of willis , the less common will be its rate of occurance.o Berry aneurysm orSaccualr aneurysm or Congenital aneurysm is the most frequent type of intracranial aneurysm.o Most aneurysms occur in the anterior circulation and are found near the branchs points.o Most common site is junction between anterior cerebral artery and anterior communication artery (40%).o Next most common site is internal carotid artery> and posterior communicating artery> (20%)Less frequent sites includeo Top of basilar artery-o Junction of basilar artery and the superior cerebllar artery or anterior inferior cerebellar artery;o Junction of vertebral artery' and posterior inferior cerebellar artery;